Obesity is associated with decreased risk of -
1. Hypertension
2. Hyperuricemia
3. Osteoporosis
4. Heart disease

Correct answer: 3. Osteoporosis

Explanation: The major factors considered in past for obesity as protective factor for osteoporosis include increased load on the cortical skeleton, direct stimulation of bone formation by leptin, greater aromatase activity, increased estradiol leading decrease bone resorption, and stimulation of bone formation . The ongoing debate regarding the previous concept, that obesity is protective for osteoporosis may not stand same in view of the new concept of obesity of bone (adipogenesis), which is considered detrimental for bone health. ref - ref Davidson 23rd edition pg 987